Preisz Nocard bacilli is other name of
1. C. diphtheriae
2. C. minutissimum
3. C. pseudotuberculosis
4. C. parvum

Correct answer: 3. C. pseudotuberculosis

Explanation: C. pseudotuberculosis also called preisz Nocard bacilli affect sheep and horse.